By estrogen administration in a menopausal woman, which of the following is increased?
1. Gonadotrophin secretion
2. LDL-cholesterol
3. Bone mass
4. Muscle mass

Correct answer: 3. Bone mass

Explanation: Hormone therapy reduces the rate of bone resorption and results in an increase in bone mass density (BMD). Estrogen therapy acts the inhibition of bone resorption. Both BMD and fracture rate are improved with estrogen therapy. However, with cessation of estrogen therapy, there is a rapid and progressive loss of bone mineral content. Estrogen is approved for prevention of osteoporosis. Ref: Hoffman B.L., Schorge J.O., Schaffer J.I., Halvorson L.M., Bradshaw K.D., Cunningham F.G., Calver L.E. (2012). Chapter 22. The Mature Woman. In B.L. Hoffman, J.O. Schorge, J.I. Schaffer, L.M. Halvorson, K.D. Bradshaw, F.G. Cunningham, L.E. Calver (Eds), Williams Gynecology, 2e.